Which of the following is the SAFEST test to be performed in a patient with acutely injured knee joint -
1. Lachmann test
2. Pivot shift test
3. McMurray's test
4. Apley's grinding test

Correct answer: 1. Lachmann test

Explanation: Pivot shift test and anterior drawer test require flexion of the knee joint, which cannot be possible in acutely injured knee.
Lachman's test is done in 15-30° of flexion, therefore can be performed in acutely injured knee.